Which of the following individual show susceptibility to
dental caries?
1. Hereditary fructose intolerance
2. Down syndrome
3. Pierre robin syndrome
4. Epidermolysis bullosa

Correct answer: 4. Epidermolysis bullosa

Explanation: Junctional epidermolysis bullosa and recessive variant Epiderrnolysis bullosa dystrophic variant manifest severe disturbances in enamel and dentin formation. The recessive form may also manifest rudimentary teeth, congenitally absent teeth, hypoplastic teeth, crowns denuded of enamel.